At any given point during the pregnancy, AFP levels are highest in:
1. Fetal serum
2. Placenta
3. Amniotic fluid
4. Maternal serum

Correct answer: 1. Fetal serum

Explanation: Alpha Fetoprotein in the fetal serum is the highest. It is 1000 times more than maternal serum. AFP levels are increased in omphalocele, gastroschisis, NTDs, Anencephaly. AFP are low in trisomy, trophoblastic diseases, maternal obesity, overestimated gestational age, intrauterine death